According to the WHO , what is the minimum bacteriological standard for drinking water -
1. All the samples should not contain coliform organisms
2. 3 consecutive samples of water should not contain any coliforms
3. 3 coliforms in a 100 ml water
4. 1 coliform in a 100 ml water

Correct answer: 1. All the samples should not contain coliform organisms

Explanation: Must not detect E. coli or thermotolerant bacteria in any 100 ml sample. Total coliform bacteria should be nil in any 100 ml sample Park's Textbook of Preventive and Social Medicine, 25th edition, Page No. 782